Aldosterone receptors are present in all except:
1. Liver
2. Colon
3. Hippocampus
4. Distal nephron

Correct answer: 1. Liver

Explanation: A i.e. LiverAldosterone (or mineralocorticoid) receptor (MR, MLR, MCR) is expressed in central nervous system (hippocampus), heart, kidney, colon, brown adipose tissue and sweat glands but not not in liverQ.It is a steroid hormone receptor that belongs to nuclear receptor subfamily 3, group C, member 2 (NR3C2). It is activated by mineralocorticoids eg. aldosterone & deoxycorticosterone, as well as by glucocorticoids (such as cortisol & cortisone) and some progestins.Its activation in epithelial cells leads to expression of proteins regulating ionic and water transport (mainly epithelial sodium channels. ENaC, Na+ - K+ pump, serum & glucocorticoid induced kinase or SGK1) resulting in absorption of Na+ causing increased ECF volume & BP, and an excretion of K+ to maintain a normal salt concentration in body.